Hanging cast is used in :
1. Femur
2. Radius
3. Tibia
4. humerus

Correct answer: 4. humerus

Explanation: Ans. is 'd' ie Humerus Following are some of the imp, casts*Hanging cast*- humerus*Cylinder cost*- patella*PTB cast*- tibia*Minerva cast*-Cervical spine ds*Risser's cast*-Scoliosis*Milwaukee brace*-Scoliosis*Boston brace-Scoliosis